In a test of significance, P value is 0.023 the observed difference in study can be considered as-
1. Null hypothesis accepted and the study is rejected
2. Null hypothesis rejected and the study accepted
3. Null hypothesis accepted and the study is accepted
4. Null hypothesis rejected and the study is also rejected

Correct answer: 2. Null hypothesis rejected and the study accepted

Explanation: Null hypothesis rejected and the study is accepted. Reference:Park's textbook of preventive and social medicine,K.Park,23rd edition,page no:852.